Pleural reflection on left midaxillary line is in intercostal space?
1. 5
2. 6
3. 8
4. 10

Correct answer: 4. 10

Explanation: The lines of pleural reflection on the left side can be remembered as 4-6-8-10-12.The line of pleural reflection on the left descends in the midline of the sternum to the 4th costal cartilage, where it deviates to the left margin of the sternum at the 6th costal cartilage to accommodate the pericardium and the heart (cardiac notch).This line then deviates to cross the 8th rib at the midclavicular line.It crosses the 10th rib at the midaxillary lineIt then crosses the 12th rib at approximately the neck.On the right side, the line of pleural reflection descends at the midline of the sternum to the xiphoid process, and then deviates 8-10-12.